A 45 year old female diagnosed of having cervical carcinoma of stage IIIB. What is the best line of management in this patient?
1. Wertheim's hysterectomy
2. Schuata's hysterectomy
3. Chemotherapy
4. Concurrent Chemoradiation

Correct answer: 4. Concurrent Chemoradiation

Explanation: Stage IIIB is extension of cancer to pelvic wall and/or hydronephrosis or nonfunctioning kidney due to tumor. Current evidence indicates that chemotherapy given concurrently with radiation therapy significantly improves overall and disease-free survival rates of women with advanced (stages IIB through IVA) cervical cancer. Of chemotherapy agents, cisplatin-containing regimens have been associated with the best survival rates. Ref: Hoffman B.L., Schorge J.O., Schaffer J.I., Halvorson L.M., Bradshaw K.D., Cunningham F.G., Calver L.E. (2012). Chapter 30. Cervical Cancer. In B.L. Hoffman, J.O. Schorge, J.I. Schaffer, L.M. Halvorson, K.D. Bradshaw, F.G. Cunningham, L.E. Calver (Eds), Williams Gynecology, 2e.